Broadmann's area of Visual Cortex-
1. Area 17
2. Area 41
3. Area 1,2,3
4. Area 4

Correct answer: 1. Area 17

Explanation: Ans. is 'a' i.e., Area 17 Broadmann areasFunctional areaBroadmann areas 1,2 and 3Primary somatosensory cortexBroadmann area 4The primary motor cortexBroadmann area 17The primary visual cortexBroadmann areas 41 and 42To primary auditory cortex